Which of he following enzyme is involved in the catabolism of fructose to pyruvate in the liver?
1. Glucokinase
2. Phosphoglucomutase
3. Lactate-dehydrogenase
4. Glyceraldehyde-3-phosphate Dehydrogenase

Correct answer: 4. Glyceraldehyde-3-phosphate Dehydrogenase

Explanation: Fructose is a ketohexose presents in fruits, honey, and sucrose. Fructose is promptly metabolized by the liver. Fructose is phosphorylated by fructokinase, an enzyme present in the liver with a high affinity for fructose to Fructose-1-phosphate. Then Fructose-1-phosphate is then cleaved to Glyceraldehyde by aldolase-B. The Glyceraldehyde is phosphorylated to Glyceraldehyde-3-phosphate by triose kinase and ATP. Glyceraldehyde-3-phosphate + dihydroxyacetone gives 1,3 bisphosphoglycerate catalysed by Glyceraldehyde-3-phosphate Dehydrogenase. This 1,3 bisphosphoglycerate is finally metabolized into pyruvate. Ref: Vasudevan Biochemistry, 4th Edition, Pages 88, 119-120